A patient was on treatment with trifluperazine for some time. He presents with complaint of hyperthermia, lethargy and sweating. Needed investigations are
1. CT Scan brain & hemogram
2. Hemogram, Electrolyte level and creatinine
3. ECG, Chest X-Ray and Hemogram
4. Hemogram, CPK and Renal Function Test

Correct answer: 4. Hemogram, CPK and Renal Function Test

Explanation: D i.e. Hemogram, CPK & Renal Function Test